Which of the following is not associated with increase in prolactin?
1. Haloperidol
2. Chlorpromazine
3. Hydroxysulpiride
4. Quetiapine

Correct answer: 4. Quetiapine

Explanation: Ans. (D) Quetiapine(Ref: KDT 8/e p469)All other drugs are typical antipsychotics except quetiapine and release prolactin by blocking hypothalamic dopamine receptors.